Which of the following pulmonary symptoms don't have the corresponding non-pulmonary association?
1. Cyanosis-Anxiety
2. Wheezing-Congestive heart failure
3. Tachypnea-Acidosis
4. Chest pain-Pericarditis

Correct answer: 1. Cyanosis-Anxiety

Explanation: Ans. a. Cyanosis-Anxiety (Ref: Harrison 19/e p248, 18/e p104, 288. 2085)Cyanosis is a severe respiratory symptom. It is seldom seen in anxiety:'In Heart Failure patients with pulmonary edema, rales may be heard widely over both lung fields and may be accompanied by expiratory wheezing (cardiac asthma).Harrison 18/e p2085'Metabolic acidosis has profound effects on the respiratory, cardiac, and nervous systems. The fall in blood pH is accompanied by a characteristic increase in ventilation, especially the tidal volume (Kussmaul respiration) and Heart rate. ' 'Chest Pain is a characteristic feature of pericarditis, which makes it a close differential for Myocardial Infarction. - Harrison 18/e p104